Plummer vinson syndrome is characterised by all except
1. Glossitis
2. Esophagal webs
3. Megaloblastic anemia
4. Esophagal dysplasia

Correct answer: 3. Megaloblastic anemia

Explanation: rare disease characterized by difficulty swallowing, iron-deficiency anemia, glossitis, cheilosis and esophageal webs.Treatment with iron supplementation and mechanical widening of the esophagus generally provides an excellent outcome.